Which of the following is not a histological feature of adamantinomatous craniopharyngioma?
1. Nests and cords of squamous epithelium embedded in spongy reticulum
2. Compact, lamellar keratin formation ("wet keratin")
3. Dystrophic calcification and cholesterol crystals
4. Papillae lined by well-differentiated squamous epithelium

Correct answer: 4. Papillae lined by well-differentiated squamous epithelium

Explanation: Adamantinomatous craniopharyngioma Consists of nests or cords of stratified squamous epithelium embedded in a spongy reticulum" that becomes more prominent in the internal layers. "Palisading" of squamous epithelium at periphery. Compact, lamellar keratin formation ("wet keratin") is diagnostic. Dystrophic calcification is frequently seen, the cysts of craniopharyngiomas often contain cholesterol-rich, thick brownish-yellow fluid. Papillary craniopharyngioma contain both solid sheets of cells and papillae lined by well-differentiated squamous epithelium. These tumors usually lack of lamellar keratin, calcification, cysts, peripheral palisading of squamous cells, and a spongy reticulum.